Which of the following is an example of a multipass membrane protein?
1. Glycophorins A
2. Glycophorins B
3. Glycophorins C
4. Anion exchange protein

Correct answer: 4. Anion exchange protein

Explanation: The anion exchange protein (band 3) is a transmembrane glycoprotein, with its carboxyl terminal end on the external surface of the membrane and its amino terminal end on the cytoplasmic surface. It is an example of a multipass membrane protein, extending across the bilayer approximately 14 times. It probably exists as a dimer in the membrane, in which it forms a tunnel, permitting the exchange of chloride for bicarbonate. Glycophorins A, B, and C are also transmembrane glycoproteins but of the single-pass type, extending across the membrane only once. Ref: Murray R.K. (2011). Chapter 52. Red & White Blood Cells. In D.A. Bender, K.M. Botham, P.A. Weil, P.J. Kennelly, R.K. Murray, V.W. Rodwell (Eds),Harper's Illustrated Biochemistry, 29e.